Electrocution is rare below:
1. 100 volt
2. 150 V
3. 200 V
4. 240 V

Correct answer: 1. 100 volt

Explanation: Ans. 100 volt